Antibody elevated in parasitic infection -
1. IgA
2. IgE
3. IgG
4. IgM

Correct answer: 2. IgE

Explanation: IgE is to identify and neutralize pathogens such as bacteria, parasite, and viruses Ref: Ananthanarayan & Parkers textbook of microbiology 9th edition pg:98